A patient has subclinical folate deficiency. All of the following drugs can precipitate Megaloblastic anemia in this except
1. Alcohol
2. Phneytoin
3. Chloroquine
4. Sulfasalzine

Correct answer: 3. Chloroquine

Explanation: Megaloblastic anemia can be caused by deficiency bo: folic acid or vitamin B12.The drug that can result in deficiency big folic acid include alcohol, phneytoin, sulfonamide Refer 17/e p649